The “Shoe Leather Survey” was given by
1. Trendley H. Dean
2. Frederick McKay
3. Greene Black
4. J. M. Eager

Correct answer: 1. Trendley H. Dean

Explanation: Fluoride was established as the causative factor for mottling of enamel through the historical studies conducted by Trendley H. Dean, known  as the "Shoe Leather Survey".